β blocker with intrinsic sympathomimetic activity
1. Propanalol
2. Carvedilol
3. Acebutolol
4. Atenolol

Correct answer: 3. Acebutolol

Explanation: β blockers with intrinsic sympathomimetic activity have partial agonistic action on β1 receptors thus causing lesser bradycardia.
Ex: Acebutalol, Celiprolol, Cartelol, Pindolol, Penbutolol, Labetalol.